An investigator is studying a potential new antiarrhythmic. Eighty healthy test subjects are receiving various doses of the drug. Adverse effects and the drug’s pharmacokinetics are assessed 
Which of the following steps in the drug development process does this represent?
1. New drug application (NDA)
2. Phase I
3. Phase II
4. Phase Ill

Correct answer: 2. Phase I